Vagabond's disease is also known as
1. Pediculosis pubis
2. Peduculosis capitis
3. Peduculosis corporis
4. Tinea capitis

Correct answer: 3. Peduculosis corporis

Explanation: pediculosis corporals/body louse: causative organism: pediculus humanus var corporis. Body lice live in clothing and beds and feed on human blood seen in poor and in those of low intelligence infection is transmitted by clothes and beds. clinical features: itching, erythematous macules, urticaria wheals, excoriated papules parallel linear scratch marks. parellel liner scratch marks with post inflammatory hyperpigmentation over the upper back was called vagabonds disease treatment: proper washing and drying of clothes and bedding dusting garments with gamma benzene he a chloride r malathion body louse acts as a vector for the following diseases epidmic typhus-rickettsia prowazekii relapsing fever--bartonella recurentis trench fever- bartonella quintana iadvl textbook of dermatology page 412